Following is the marker of HIV infection in blood-
1. Reverse Transcriptase
2. DNA polymerase
3. RNA polymerase
4. None

Correct answer: 1. Reverse Transcriptase